Treatment of amblyopia in a 3 year old child is
1. Orthoptic exercises
2. Occlusion of one eye
3. Prism
4. Surgery

Correct answer: 2. Occlusion of one eye

Explanation: B i.e. Occlusion of one eye Occlusion of the normal eye, to encourage use of the amblyopic eye, is the most effective treatment of amblyopia. Q Occlusion Therapy The sensitive period during which amblyopia can be reserved is upto 7-8 years in strabismic amblyopia & longer (upto 11-12 years) for anisometropic amblyopiaQ. The amblyopia must be detected & treated by 3 or 4 years of age for best results.Q The younger the patient, the more rapid the improvement, although the greater the risk of inducing amblyopia in the normal eye. It is therefore important to monitor visual acuity in both eyes during treatment. The better the visual acuity at the start of occlusion, the shorter the duration required. If there is no improvement after 6 months of occlusion, further treatment is unlikely to be fruitful. Duration of occlusion - 1 week for 1 year old child - 2 weeks in 2 year old child - 3 weeks in 3 year old child and so on.